Golden color amniotic fluid is seen in -
1. Rh incompatibility
2. Foetal death
3. IUGR
4. Foetal distress

Correct answer: 1. Rh incompatibility